Drug of choice for Infantile Spasm
1. Vigabatrin
2. ACTH
3. Ethosuximide
4. Valproate

Correct answer: 2. ACTH

Explanation: Drug of choice for infantile spasm is ACTH. Infantile spasms (also called West syndrome) can be caused by brain malformations, infections, brain injury, or abnormal blood vessels in the brain. IS also can happen in babies with certain metabolic and genetic disorders. In rare cases, a baby's infantile spasms are caused by vitamin B6 deficiency. Infantile spasms (IS) is a seizure disorder in babies. The Spasms start suddenly and last a second or two. They often come one after another in a cluster that lasts several minutes. They happen most often just after waking. They're often mistaken for A baby having a spasm might have: the head bent forward with arms flung out and the knees pulled into the body (described as "jackknife") the head bent back with the arms and legs straightened small movements in the neck or other parts of the body The most common drugs used to treat West syndrome are: Adrenocorticotropic hormone (ACTH) Prednisone Vigabatrin Pyridoxine Reference: GHAI Essential pediatrics, 8th edition